In a case-controlled study, it is found that the disease is more common in the group taking coffee as compared to the control group. The significance of this is -
1. Cause and effect relationship established
2. Disease median can be calculated
3. Caffeine is associated with occurrence of disease
4. Controls will not get the disease

Correct answer: 3. Caffeine is associated with occurrence of disease